Most radiosensitive brain tumor is –
1. Astrocytoina
2. Ependyinoma
3. Medulloblastoma
4. Craniopharyngeoma

Correct answer: 3. Medulloblastoma

Explanation: Of all tumors arising within the brain, except lymphoma, medulloblastoma is the most sensitive.